The zone of fibrinoid degeneration where the trophoblast and the decidua meet is known as:
1. Folds of Hoboken
2. Nitabuch's layer
3. Parietal decidua
4. Chorion

Correct answer: 2. Nitabuch's layer

Explanation: Ans. B. Nitabuch's layerThere is an area of fibroid degeneration, where trophoblast cells (covered with syncytium) meet the decidua. This zone is known as Nitabuch layer. This layer limits further invasion of the decidua by the trophoblast. The membrane is absent in placenta accreta.